Mee's line on nail is diagnostic of ?
1. Lead poisoning
2. Arsenic poisoning
3. White phosphorus poisoning
4. Mercury poisoning

Correct answer: 2. Arsenic poisoning

Explanation: Ans. is 'b' i.e., Arsenic poisoning Chronic arsenic poisoning First stage of gastrointestinal & nutritional disturbance: Gradual emaciation is earliest sign Anorexia, nausea, vomiting, diarrhoea & abdominal cramps Second catarrhal stage Features of common cold, bronchial catarrhal, coughing & hoarseness Third stage of skin rash Skin irritation, vesicular eruption resembling nettle rash Patchy brown raindrop type pigmentation Hyperkeratosis of palms & soles Falling of hair & brittleness of nail White transverse band or Mee's line on nail Fourth stage of nervous disturbance Sensory motor neuropathy causing tingling, numbness & paresis Encephalopathy Bone marrow suppression, anemia, weight loss, hepatomegaly, cirrhosis, nephritis, thrombocytopenia, leukemia, skin, lung, liver, bladder & kidney cancer and exfoliative dermatitis & diabetes.